Most common malignant tumor of parotid gland is?
1. Mucoepidermoid carcinoma
2. Warthin's tumor
3. Squamous cell carcinoma
4. Pleomorphic adenoma

Correct answer: 1. Mucoepidermoid carcinoma

Explanation: ANSWER: (A) Mucoepidermoid carcinomaREF: Sabiston Textbook of Surgery, 18th ed. Chapter 33"Mucoepidermoid carcinoma is the most common malignant tumor of the parotid gland and can be divided into low-grade and high-grade tumors"Also know:Most common benign & overall tumor of parotid gland is pleomorphic adenomaSecond most common tumor of parotid gland is warthin's tumorMost common malignant tumor of parotidgland is mucoepidermoid carcinomaMost common tumor of parotid gland in children is hemangiomaParotid tumor ivhich spreads by perineural invasion is Adenoid cystic carcinoma